The type of Diphtheria with highest mortality is -
1. Pharyngeal
2. Nasal
3. Laryngeal
4. Conjuctival

Correct answer: 3. Laryngeal

Explanation: Ans. is 'c' i.e., Laryngeal